After cataract is best treated with:
1. ARGON LASER
2. Nd-yAG LASER
3. EXIMER LASER
4. Holmium LASER

Correct answer: 2. Nd-yAG LASER

Explanation: Ans. b (Nd-yAG LASER). (Ref Basak, Ophthalmology, 2nd ed., 182)AFTER CATARACT# Posterior capsular opacification following ECCE & discission of congenital/traumatic cataract.# More common in children- Elschnig's pearl (Balloon lens-cell) 0- Soemerring 's ring (Ring behind iris formed by lens fibers) Q# Rx:- Discission or needling- Capsulotomy/membranectomy Nd-yAG LASER capsulotomy (safe, noninvasive & quick OPD procedure).0